Ropinirole is most useful for the treatment of :
1. Parkinson's disease
2. Wilson's disease
3. Hoffmann syndrome
4. Carpal tunnel syndrome

Correct answer: 1. Parkinson's disease

Explanation: Ropinirole is a non-ergot dopamine agonist useful for Parkinsonism. It is also used these days for restless leg syndrome.